Acute mechanical large bowel obstruction should be operated early because -
1. Electrolyte imbalance due to third space loss
2. Septicaemia from absorption of bowel contents
3. Early gangrene and perforation
4. Respiratory embarrassment to massive abdminal distension

Correct answer: 3. Early gangrene and perforation